A biopsy from a mass shows parafollicular cells.
What is the tumor marker?
1. Calcitonin
2. T4
3. Thyroxine
4. Thyroglobulin

Correct answer: 1. Calcitonin

Explanation: Caclitonin is the tumor marker for MTC which arises from parafollicular cells.